A 36-year-old woman complains of a 3-month history of bloody discharge from the nipple. At examination, a small nodule is found, deep to the areola. Careful palpation of the nipple- areolar complex results in blood arrearing at the 3 O'clock position. Mammogram findings are normal. What is the likeliest diagnosis?
1. Intraductal papilloma
2. Breast cyst
3. Intraductal carcinoma
4. Carcinoma in situ

Correct answer: 1. Intraductal papilloma

Explanation: Intraductal papilloma is the most common cause of bloody discharge from the nipple. The lesion is treated by excision and is benign in most cases. Cancer is present in 5% of cases. Preoperative ductography can be used to help locate the offending duct.